Uterine artery is a branch of?
1. External iliac artery
2. Internal iliac artery
3. Aorta
4. Inferior vesical artery

Correct answer: 2. Internal iliac artery

Explanation: ANSWER: (B) Internal iliac arteryREF: BDC 4th edition page 387BRANCHES OF THE INTERNAL ILIAC ARTERY:branches of anterior division: (6 in males, 7 in females)Superior vesicalObturatorMiddle rectalInferior vesical (in males)Vaginal artery (in females)Inferior glutealInternal pudendalUterine artery (in females)Branches of posterior division:IliolumbarTwo lateral sacralSuperior gluteal arteryBRANCHES OF ABDOMINAL AORTA:Ventral branches:Celiac trunkSuperior mesenteric arteryInferior mesenteric arteryLateral branches:Inferior phrenic arteryMiddle suprarenal arteryRenal arteriesTesticular or ovarian arteries.Dorsal arteries:Lumbar arteries - 4 pairs.Median sacral artery (unpaired)